Precancerous potential in Plummer- Vinson's syndrome may be due to change in the epithelium like:
1. Atrophy
2. Hypertrophy
3. Acanthosis
4. All the above

Correct answer: 1. Atrophy